Shaswat, A 67–year–old male comes to the physician's office complaining of severe pain in the right foot with paleness of right toe. The patient had a history of receiving unfractionated heparin 7 days back. The hemogram of the patient is as shown below:Hb – 13.2 g/dLWBC – 10000/mm3Platelet – 50000/mm3 Which of the following should be used to treat this condition?
1. High dose of Heparin
2. Platelet infusions
3. Argatroban
4. Warfarin

Correct answer: 3. Argatroban